Examples of metaplasia are the following except?
1. Breast enlargement at puberty
2. Barrets esophagus
3. Myositis Ossificans
4. Respiratory tract in chronic smokers

Correct answer: 1. Breast enlargement at puberty

Explanation: Ans. is 'a' i.e., Breast enlargement at puberty